A 58 year old was undergoing cholecystectomy. During the procedure, the resident accidently advanced the scissors along the superior border of the epiploic foramen causing injury. Which of the following structures is likely to be injured?
1. Right lobe of liver
2. Quadrate lobe of liver
3. Caudate lobe of liver
4. Fundus of gallbladder

Correct answer: 3. Caudate lobe of liver

Explanation: The superior border of the epiploic foramen is formed by the caudate lobe of the liver. Epiploic foramen (foramen of winslow) is a vertical slit of about 3 cm behind the free right border of the lesser omentum. It connects the lesser sac to the greater sac. Boundaries Structures Anterior Right free margin of lesser Omentum (hepatoduodenal ligament) containing the portal triad (bile duct, hepatic artery and portal vein) Posterior (SIT) Suprarenal gland Inferior vena cava T12 vertebrae Superior Caudate process of liver Inferior First part of duodenum Horizontal part of the hepatic artery Ref: Gray's Anatomy 41st edition Pgno: 1107